Child with proteinuria, generalised edema. With hypoproteinemia & hyperlipidemia-M.C. cause is-
1. Minimal change nephrotic syndrome
2. IgA nephropathy
3. Mesangial glomerulonephritis
4. FSGN

Correct answer: 1. Minimal change nephrotic syndrome

Explanation: Ans. is 'a' i.e., Minimal change N.S. o Nephrotic syndrome characterised byMassive proteinuria = (more than Igm/m2/day).Hypoalbuminemia (serum albumin below 2.5 gf/dl).EdemaHyperlipidemia often associated.o Resultant fall in plasma oncotic pressure leads in edema,o Stimulation of Renin - Angiotensin system causes sodium & water retention,o More than 90% of childhood N.S. is primary,o Most common cause of primary N.S. is minimal change.o In electron microscopy, Histopathology show loss of podocyl and loss of negatively charged protein leads to selective proteinuria (albumineria